Embryological dorsal aorta forms:
1. Ascending aorta
2. Descending aorta
3. Common carotid artery
4. Pulmonary trunk

Correct answer: 2. Descending aorta

Explanation: Embryological dorsal aorta forms distal part of descending aorta. Proximal part of descending aorta develops from Left dorsal aorta distal to attachment of fourth arch artery and Distal part from fused dorsal aortae forming single median artery. Ascending aorta and pulmonary trunk develops from truncus arteriosus (a part of heart tube). Arch of aorta develops from 4th arch artery. Common carotid artery develop from aortic arch III.